An 18-year-old college freshman shares a dorm room with three roommates. One of his roommates has been diagnosed with meningococcal meningitis, caused by the bacteria Neisseria meningitidis. The other three roommates are isolated and treated twice a day with an antibiotic as prophylaxis against this organism, because none of them had received the meningococcal vaccine prior to enrollment. They are told that this antibiotic can give a reddish discoloration of their urine or tears. The reason this drug is effective in killing the bacteria is which one of the following?
1. DNA synthesis is inhibited.
2. RNA synthesis is inhibited.
3. The process of protein synthesis is inhibited.
4. The bacterial membrane becomes leaky.

Correct answer: 2. RNA synthesis is inhibited.

Explanation: The drug given to prevent Neisseria infection (used prophylaxically), which is common in crowded conditions such as freshman dormitory rooms or military barracks, is rifampin. Rifampin inhibits RNA polymerase, and also exhibits a red color. Loss of rifampin in the urine or tears would give a reddish tint to those fluids. Rifampin does not interfere with DNA synthesis, the bacterial membrane, the process of protein synthesis, or ATP generation by the bacteria.